Hallucination is a disorder of -
1. Thought
2. Perception
3. Memory
4. Intelligence

Correct answer: 2. Perception

Explanation: Altered perception :- Sensory distortion (micropsia, hyperacusis), Illusion.
False perception :- Hallucination.